Transplantation between genetically different members of the same species is termed as
1. Autograft
2. Isograft
3. Allograft
4. Xenograft

Correct answer: 3. Allograft